Most common gas used for pneumoperitoneum
1. Nitrogen
2. CO2
3. O2
4. Air

Correct answer: 2. CO2

Explanation: Ans. (b) CO2 (Ref: Campbell Urology 11th 211)* CO2 is the most commonly used gas for laparoscopy because it is colourless, non combustible, very soluble in blood and inexpensive.